Regarding clue  cells all are true except
1. Most reliable indicators of bacterial vaginosis.
2. Vaginal epithelial cells contain many attached bacteria creating stippled border.
3. Positive predictive value of this test is 95 percent.
4. 10 percent of epithelial cells should be clue cells.

Correct answer: 4. 10 percent of epithelial cells should be clue cells.

Explanation: Atleast 20 percent of epithelial cells should be clue cells for diagnosis of bacterial vaginosis.